What is the commonest cause of death in Ca penis?
1. Cerebral metastasis
2. Liver metastasis
3. Uremia
4. Erosion of femoral vessels

Correct answer: 4. Erosion of femoral vessels

Explanation: HPV-16 and HPV-18 have been found in one third of men with penile cancer. Risk factors included early and high sexual activity, the lifetime number of sexual partners, the number of sexual partners prior to age 20 years, age at first occurrence of intercourse, penile-oral sex, a history of anogenital warts, and never having used condoms. Metastasis to the femoral and inguinal lymph nodes is the earliest path for tumor dissemination. Untreated metastatic enlargement of the regional nodes leads to skin necrosis, chronic infection, and, eventually, death from sepsis or hemorrhage secondary to erosion into the femoral vessels.